The maximum depression of the soft palate is recorded when Frankfort horizontal plane is
1. 30° below the horizontal plane
2. 10° below the horizontal plane
3. 60° below the horizontal plane
4. 80° below the horizontal plane

Correct answer: 1. 30° below the horizontal plane